The proximal part of the internal carotid artery is derived from which of the following?
1. Aortic arch 1
2. Aortic arch 2
3. Aortic arch 3
4. Aortic arch 4

Correct answer: 3. Aortic arch 3

Explanation: C. The proximal part of the internal carotid artery is derived from aortic arch 3.